Spider leg deformity of calyces on 1VP is seen in:
1. Hypernephroma
2. Hydronephroses
3. Wilm's tumor
4. Pyelonephritis

Correct answer: 1. Hypernephroma

Explanation: Ans. Hypernephroma